A key feature that differentiates stage III gingivitis from the stage II lesion is an increase in the number of
1. Lymphocytes
2. Plasma cells
3. Mast cells
4. Polymorphs

Correct answer: 2. Plasma cells